Randomized study is done in people who are volunteer for the study. Which type of bias may occur ?
1. Hawthorne bias
2. Berkesonian bias
3. Selection bias
4. Attention bias

Correct answer: 3. Selection bias

Explanation: Ans. is 'c' i.e., Selection bias